Used urine bags and catheters are disposed in
1. Red bag
2. Yellow bag
3. Blue bag
4. White container

Correct answer: 1. Red bag